Which of the following beverages contain the maximum percentage of alcohol?
1. Whiskey
2. Brandy
3. Wine
4. Rum

Correct answer: 4. Rum

Explanation: Rum = 50- 60% alcohol. Whiskey, Gin, Brandy = 40- 45%. Port, Sherry = 20%. Wine = 10- 15%. Beers = 4- 8%. Ref: Krishan Vij textbook of forensic medicine, 5th edition pg : 495-497